All of the following characteristic pattern seen in Brown-Sequard syndrome; except:
1. Ipsilateral weakness
2. Ipsilateral loss of position and vibration
3. Ipsilateral loss of pain and temperature
4. Contralateral loss of pain and temperature

Correct answer: 3. Ipsilateral loss of pain and temperature

Explanation: Ans. c. Ipsilateral loss of pain and temperatureRef: Ganongs Review of Medical Physiology 25th Ed; Page No-172BROWN-SEQUARD SYNDROMEBrown-Sequard syndrome is caused by damage to one half of the spinal cord, resulting in paralysis and loss of proprioception on the same (or ipsilateral) side as the injury or lesion, and loss of pain and temperature sensation on the opposite (or contralateral) side as the lesion.Hemisection of spinal cord. Findings:1. Ipsilateral loss of all sensation at level of lesion2. Ipsilateral LMN signs (e.g. flaccid paralysis) at level of lesion3. Ipsilateral UMN signs below level of lesion (due to corticospinal tract damage)4. Ipsilateral loss of proprioception, vibration, light (2-point discrimination) touch and tactile sense below level of lesion (due to dorsal column damage).5. Contralateral pain, temperature, and crude (non-discriminative) touch below level of lesion (due to spinothalamic tract damage)Note: If lesion occurs above T1, patient may present with ipsilateral Horner syndrome due to damage of oculosympathetic pathway.